More than 5 % carboxyhemoglobin is indicative of:
1. Ante mortem burns
2. Drowning
3. HCN poisoning
4. Suffocation

Correct answer: 1. Ante mortem burns

Explanation: A i.e. Antemortem burn